Anti cancer drug causing nephrotoxicity ?
1. Cyclophosphamide
2. Busulfan
3. Cisplatin
4. Procarbazine

Correct answer: 3. Cisplatin

Explanation: Ans. is 'c' i.e., Cisplatin Platinum compound These are alkylating agents and act by similar mechanism. Drugs are - First generation -9 - Cisplatin Second generation - Carboplatin Third generation - Oxaliplatin Side effects of Cisplatin Vomiting Ototoxicity Hyperuricemia Nephrotoxicity Neuropathy Note ? Cisplatin is most nephrotoxic where as carboplatin is more hematotoxic (bone marrow suppression). Carboplatin has less nephrotoxic, neurotoxic and ototoxic effects. Dose limiting toxicity of oxaliplatin is neurotoxicity (Peripheral neuropathy). Drugs causing nephrotoxicity: Chemotherapy and Immunosuppressants drugs causing nephrotoxicity: - Cisplatin - Methotrexate - Mitomycin - Cyclosporine - Ifosphamide (Causes Fanconi's Syndrome) Antibiotics: - Aminoglycoside - Sulfonamides Amphotericin B - Foscarnet Quinolones (e.g. Ciprofloxacin, Levofloxacin) - Rifampin - Tetracycline - Acyclovir (only nephrotoxic in intravenous form) - Pentamidine - Vancomycin Heavy Metals: Mercury Poisoning - Lead Poisoning - Arsenic Poisoning Bismuth - Lithium related kidney disorders AntiHyperlipidemics: - Statin Drugs (Rhabdomyolysis) Gemfibrozil-Associated with Acute Renal Failure due to Rhabdomyolysis Miscellaneous Drugs: - Chronic Stimulant Laxative use-Resulting in chronic volume depletion and Hypokalemia causes nephropathy - Radiographic contrast - ACE Inhibitor- NSA ID - Aspirin - Mesalamine